Hormone replacement therapy in postmenopausal women can aggravate:
1. Osteoporosis
2. Migraine
3. Hot flushes
4. All of the above

Correct answer: 2. Migraine